Ludwig angina is usually caused by
1. Streptococci and various mixed anaerobes
2. Anaerobic infection by prevotella and fusobacterium
3. Paramyxovirus
4. Candida species

Correct answer: 1. Streptococci and various mixed anaerobes